Rofecoxib was withdrawn due to:
1. lschemic heart disease
2. Renal complication
3. Liver adenoma
4. Gastric ulcer

Correct answer: 1. lschemic heart disease

Explanation: celecoxib,etoricoxib,parecoxib are available in India.Rofecoxib and valdecoxib were withdrawn within a few years of marketing for increasing cardiovascular risk by increasing the levels of TXA2 which increases platelet aggregation ESSENTIALS OF MEDICAL PHARMACOLOGY;7TH EDITION;KD TRIPATHI;PAGE NO 205